The following features differentiate Rotor syndrome from Dubin Johnson's syndrome EXCEPT
1. Liver in patients with Rotor syndrome has no increased pigmentation and appears normal
2. In Rotor syndrome, Gall bladder is usually visualized on cholecystography
3. Total urinary coproporphyin is substantially increased in Rotor syndrome
4. Fraction of coproporphyin I in urine is elevated usually more than 80% of the total in Rotor syndrome

Correct answer: 4. Fraction of coproporphyin I in urine is elevated usually more than 80% of the total in Rotor syndrome

Explanation: Ans. (d) Fraction of coproporphyrin I in urine is elevated usually more than 80% of the total in Rotor syndrome(Ref: Harrison 18th/Chapter 303)Differentiation between Dubin-Johnson syndrome & Rotor syndrome:CharacteristicDubin-Johnson syndromeRotor syndromePigmentation of LiverPigmented cytoplasmic globulesNot seen; normal histologyTotal urinary coproporphyrin excretionNormalIncreasedFraction of coproporphyrin I/III in urine>80% of total Q<70% of the total QBSP clearanceNormal Q with refluxDelayed Q No reflux